7 months child with 5kg weight with severe dehydration, amount of Ringer lactate to be given in first hour is?
1. 120 mL
2. 150 mL
3. 180 mL
4. 210 mL

Correct answer: 2. 150 mL

Explanation: Treatment plan for a child with diarrhea and severe dehydration: (Total fluid to be given: 100 mL/Kg) Age (first) 30 mL/ Kg (Then) 70 mL/Kg < 1 year 1 hour 5 hours > 1 year 1/2 hour 2 1/2 hours So, in this particular child with 5 Kg, 30 x 5 = 150 mL to be given in first hour.